Gardasil protects against following HPV strains except ?
1. 6
2. 16
3. 18
4. 33

Correct answer: 4. 33

Explanation: Ans. is 'd' i.e.,33HPV VaccinesCervarix - Protects against HPV-16, 18.Gardasil 4 Protects against HPV - 6, 11, 16, 18.Gardasil -9 - Protects against HPV - 6, 11, 16, 18, 31, 33, 45, 52, 58.